Witness in a trial who testifies for the opposing party or a witness who offers adverse testimony to the calling party during direct examination is:
1. Medical witness
2. Expert witness
3. Hostile witness
4. Atheist witness

Correct answer: 3. Hostile witness

Explanation: Hostile witness/ adverse witness ( 154 IEA )- A hostile witness is a witness in a trial who testifies for the opposing party or a witness who offers adverse testimony to the calling party during direct examination.- A witness called by the opposing party is presumed hostile.- A witness called by the direct examiner can be declared hostile by a judge, at the request of the examiner, when the witness' testimony is openly antagonistic or clearly prejudiced to the opposing party.- A party examining a hostile witness may question the witness as if in cross-examination, thus permitting the use of leading questions.